The following are components of Brown Sequard syndrom, EXCEPT:
1. Ipsilateral extensor plantar response
2. Ipsilateral pyramidal tract involvement
3. Contralateral spinothalamic tract involvement
4. Contralateral posterior column involvement

Correct answer: 4. Contralateral posterior column involvement

Explanation: Brown Sequard syndrome is associated with ipsilateral loss of joint position and vibratory sense (posterior column involvement), ipsilateral weakness (corticospinal tract involvement), contralateral loss of pain and temperature sense (spinothalamic tract involvement one or two levels below the lesion), spastic leg with brisk reflexes and extensor plantar response. Ref: Harrison's Principles of Internal Medicine, 16th Edition, Page 2440 & 2441; Differential Diagnosis in Neurology and Neurosurgery: A Clinician's Pocket Guide, S. A. Tsementzis, Page 206.